Which Vitamin is involved in Redox reactions -
1. Pyridoxin
2. Biotin
3. Folic acid
4. Riboflavin

Correct answer: 4. Riboflavin

Explanation: Ans. is 'd' i.e., Riboflavin VitaminCoenzymeFunction as coenzymeEntity transferredThiamine (Vit B1)Thiamine pyrophosphate (TPP)Oxidative decarboxylation and transketolase reactionHydroxy-ethylRiboflavin (Vit B2)Flavin adenine dinucleotide (FAD) and flavin mononucleotide (FMN)Oxidation and reduction reactionHydrogen atomsNiacinNicotinamide adenine dinucleotide (NAD+) and nicotinamide adenine dinucleotide phosphate (NADP+)Oxidation and reduction reactionHydride ion (H-)Pyridoxin Q (Vit B6)Pvridoxal phosphate (PLP)Transamination, deamination, decarboxylation of amino acidsAmino groupBiotin QBiocytinCarboxylation reaction QCarbon dioxideFolic acid QTetrahydrofolate (THF)Carrier of one carbon group (other than CO2)One carbon groupPentothenic acid QCoenzyme A QAcyl carrierAcyl groupCyanocobalamine QMethylcobalamine and DeoxyadenosylcobalamineTransfer of H2 group and isomerizationAlkyl group or hydrogen atom